Platypnea is seen with?
1. Hepato-pulmonary syndrome
2. Hepato-renal syndrome
3. Renal artery stenosis
4. Kyphoscoliosis

Correct answer: 1. Hepato-pulmonary syndrome

Explanation: Platypnea: Increase dyspnea on sitting position Seen in 1. Atrial myxoma 2. Hepatopulmonary syndrome